A11 are processing reactions in t-RNA except
1. CCA tailing
2. Methylation of bases
3. Poly (A) tailing
4. Trimming of 5' end

Correct answer: 3. Poly (A) tailing

Explanation: C i.e. Poly (A) tailing